Red man syndrome occurs with :
1. Clindamycin
2. Teicoplanin
3. Vancomycin
4. Polymyxin

Correct answer: 3. Vancomycin